Which of the following anticancer drug causes nephrotoxicity as an adverse effect?
1. Imatinib
2. Irinotecan
3. Bleomycin
4. Cisplatin

Correct answer: 4. Cisplatin

Explanation: Cisplatin can result in three important adverse effects: Nephrotoxicity Ototoxicity Vomiting